Which of the following is the most common cause of vocal cord palsy?
1. Trauma
2. Malignancy
3. Inflammatory
4. Surgical

Correct answer: 4. Surgical

Explanation: Surgical trauma is the most common cause of vocal cord palsy. Vocal cord paralysis is most commonly iatrogenic in nature following surgery to thyroid, parathyroid, carotid or cardiothoracic structures. Vocal cord palsy can be attributed to the following causes: Surgical trauma (44%)deg Malignancy (17%)deg: Bronchial>Esophageal>Nasopharyngeal>thyroid Endotracheal intubation (15%)deg Neurologic disease (12%) Idiopathic causes (12%)